Most common ovarian tumor in less than 20 years is :
1. Epithelial tumour
2. Germ cell tumour
3. Metastatic tumour
4. Sexcord stromal tumour

Correct answer: 2. Germ cell tumour

Explanation: Ans. is b i.e. Germ cell tumour "Below the age of 20 years 60% of the tumours are of germ cell origitf~in gift under the age of 10 years almost 85% are of germ cell origin and are invariably malignant." Remember : Most common ovarian tumour (over all) - Epithelial cell tumour. Most common tumour in young woman is - Germ cell tumour. Most common malignant tumour of ovary - Serous cystadenocarcinoma. Most common benign tumour of ovary (over all) - Dermoid cyst. Most common benign epithelial tumor of ovary - Serous cystadenoma. Most common germ cell tumour - Mature teratoma (Dermoid cyst). Most common malignant GCT - Dysgerminoma. Most common ovarian tumour in pregnancy (but in remains undiagnosed) - Serous cystadenoma. Most Common benign tumour diagnosed in pregnancy - Dermoid cyst. Overall most common ovarian tumour diagnosed in pregnancy - Dermoid cyst. Most common malignant ovarian tumor detected during pregnancy - Dysgerminoma. Most common ovarian tumour to undergo torsion during pregnancy - Dermoid cyst. Most common ovarian tumour to involve opposite ovary by metastasis - Granulosa cell tumour. Most radiosensitive ovarian tumour - Dysgerminoma.. Most rapidly growing ovarian tumour - Yolk sac Tm. Most connective tissue tumour - Fibroma. Ovarian Tumour : Causing : Pseudomyxoma peritonei - Mucinous cystadenoma. Meig's syndrome - Ovarian fibroma Pseudomeig's syndrome : - Brenner's tumour - Granulosa cell tumour - Thecoma Ovarian tumour associated with hyperpyrexia and hypercalcemia - Mesonephroid tumour. Ovarian tumour arising from epithelium of urinary tract - Brenner Tm 4 Call exner body seen in Granulosa cell Tm Schiller duval body seen in - Endodermal sinus Tm Feminizing tumours : - Granulosa cell tumour - Theca cell tumour - Fibromas Virilising tumour : - Androblastoma - Hilus cell Tm Gynadroblastoma - Adrenal cortical tumour Largest benign ovarian Tm - Mucinous cyst adenoma Mucinous tumours are associated with Dermoid cyst (MBD) - Brenner's tumour Tumour with lymphocytic infilteration : - Dysgerminoma.